Which fungal infection is known as Gilchrist's disease?
1. Coccidiomycosis
2. Paracoccidiomycosis
3. Sporotrichosis
4. Blastomycosis

Correct answer: 4. Blastomycosis